Ritters disease is caused by
1. Staphylococcus aureus
2. Staphylococcus epidermidis
3. Staphylococcus albus
4. Staphylococcus saprophyticus

Correct answer: 1. Staphylococcus aureus

Explanation: scalded skin syndrome Ritter disease: This is the scalded skin syndrome, a potentially serious side effect of infection with the Staph (Staphylococcus) bacteria that produces a specific protein which loosens the "cement" holding the various layers of the skin together. This allows blister formation and sloughing of the top layer of skin Ref Harrison20th edition pg 1234